Patient underwent gastrectomy, after eating within 20 minutes sweating, diarrhoea, what could be the cause?
1. Hyperglycemia
2. Early dumping syndrome
3. Late dumping syndrome
4. Hypoglycemia

Correct answer: 2. Early dumping syndrome

Explanation: Early dumping syndrome Seen within 15-30 min of meals Feel Bloated Sweating Dizziness Flushing Pain & Cramps Hyperosmolar content in jejunum - |se secretion in jejunum - Third-space loss -Hypovolemia Treatment - IV fluids